Dohle bodies are seen in which of the following?
1. Multiple myeloma
2. Burns
3. Waldenstrom macroglobulinemia
4. Lymphoma

Correct answer: 2. Burns

Explanation: Döhle bodies are basophilic leukocyte inclusions located in the peripheral cytoplasm of neutrophils. They are said to be remnants of the rough endoplasmic reticulum.
Conditions associated with Dohle bodies:

Burns
Infections
Physical trauma
Neoplastic diseases
Wissler’s disease
May-Hegglin anomaly (seen in neutrophil, monocyte, lymphocyte)
Chédiak-Steinbrinck-Higashi’s syndrome